Facial nerve:
1. Mixed nerve
2. Sensory nerve
3. Motor nerve
4. Parasympathetic nerve

Correct answer: 1. Mixed nerve